All of the following statement are true regarding Intraductal papillary mucinous neoplasms (IPMNs) of pancreas, except:
1. Mainly involve the head of pancreas
2. Precursor lesion of pancreatic carcinoma
3. Usually involves large ducts of pancreas
4. There is presence of ovarian stroma on histology

Correct answer: 4. There is presence of ovarian stroma on histology

Explanation: Intraductal papillary mucinous neoplasms (IPMNs) Mucin-producing neoplasms that involve the larger ducts of the pancreas. More frequently seen in men Involve the head of the pancreas more often than the tail. Two features are useful in distinguishing IPMNs from mucinous cystic neoplasms: Absence of the dense "ovarian" stroma. Involvement of a pancreatic duct. Just as with mucinous cystic neoplasms, IPMNs can progress to an invasive cancer.